Visceral pain
1. shows relatively rapid adaptation.
2. is mediated by B fibers in the dorsal roots of the spinal nerves.
3. is poorly localized.
4. resembles "fast pain" produced by noxious stimulation of theskin.

Correct answer: 3. is poorly localized.

Explanation: In addition to being poorly localized, unpleasant, and associated with nausea and autonomic symptoms, visceral pain often radiates or is referred to other areas.